Which one of the following laboratory test differentiates leukamoid reaction from chronic myeloid leukemia?
1. LAP (leukocyte alkaline phosphatase)
2. LCA (leukocyte common antigen)
3. MPO (myelo-peroxidase)
4. TRPA (tartrate resistant alkaline phosphatas

Correct answer: 1. LAP (leukocyte alkaline phosphatase)

Explanation: Ans. is 'a' i.e., LAP (leukocyte alkaline phosphatase) o A leukemoid reaction is an exuberant form of ieucocytosiswith leucocyte count upto 50000/mm3, that may follow infections.It is difficult to distinguish leukemoid reaction from leukemia.Absence of Philadelphia chromosome and increase in leucocyte alkaline phosphatase score rules out CML. CMLLeukemoidpH chromosome+ve-veALPDecreasedIncreased